Vicryl, the commonly used suture material is a ?
1. Homopolymer of polydioxanone
2. Co-polymer of glycolide and lectide
3. Homopolymer of glycolide
4. Homopolymer of lactide

Correct answer: 2. Co-polymer of glycolide and lectide

Explanation: Ans. is 'b' i.e., Co-Polymer of glycolide and lectide